True about Economic blindness is: 1. level of blindness that prevents an individual from earning his wages. 2. blindness that is costly to treat .
1. Option 1
2. Option 2
3. Both options
4. None of them

Correct answer: 1. Option 1

Explanation: Economic blindness is the level of blindness that prevents an individual from earning his wages.The inability to count fingers from a distance of six meters with the better eye, with the best possible correction,denotes economic blindness. There is diminution of field vision to 20deg or less in better eye. In most of the surveys, the presenting vision <6/60 in the better eye is defined as blindness, though the WHO categories this as severe visual impairment. Since this level of visual impairment hinders a person from earning, it is also referred to as work vision.